Isthmus of thyroid gland corresponds to which tracheal rings?
1. 2-Jan
2. 4-Feb
3. 5-Apr
4. 6-May

Correct answer: 2. 4-Feb

Explanation: The thyroid gland lies against vertebrae C5,C6,C7 and T1 embracing the upper part of the trachea Each lobe extends from the middle of thyroid cartilage to the fourth of fifth tracheal ring The isthmus extends from second to the fourth tracheal ring. Ref BDC volume3,6th edition pg 140